The differentiating feature of Neisseria gonococcus from Neisseria meningitidis is
1. Lactose fermentation
2. Maltose fermentation
3. Mannitol fermentation
4. Sucrose fermentation

Correct answer: 2. Maltose fermentation

Explanation: Gonococci resemble meningococci except that they acidify only glucose and not maltose in serum sugars while meningococci acidify both. Ref: Textbook of microbiology; Ananthanarayan and paniker's; 10th Edition; Pg:234